Subcutaneous and visceral lipomas are associated with the following type of multiple endocrine neoplasia (MEN) syndrome:
1. MEN 1
2. MEN 2 A
3. MEN 2B
4. MEN 2C

Correct answer: 1. MEN 1

Explanation: Subcutaneous and visceral lipomas are associated with MEN 1.Multiple Endocrine Neoplasia (MEN) Syndromes: MEN 1Parathyroid hyperplasia or adenomaIslet cell hyperplasia, adenoma, or carcinomaPituitary hyperplasia or adenomaOthers: foregut carcinoid, pheochromocytoma, subcutaneous or visceral lipomasMEN2AMedullary thyroid carcinomaPheochromocytomaParathyroid hyperplasia or adenomaCutaneous lichen amyloidosisHirschsprung diseaseMEN2BMedullary thyroid carcinomaPheochromocytomaMucosal and gastrointestinal neuromasMarfanoid featuresRemember, Subcutaneous and visceral lipomas are associated with MEN 1 and Mucosal and gastrointestinal neuromas are associated with MEN 2B. Ref: Harrisons principles of internal medicine, 18th edition, Page: 3073.